HLA - B5 is associated with
1. Vogt-Koyanagi Harada's disease
2. Reiter's syndrome
3. Posner-Schlossman syndrome
4. Behcet's syndrome

Correct answer: 4. Behcet's syndrome

Explanation: Behcet's syndrome The condition has an immunological basis in which severe iridocyclitis characterised by a hypopyon, is associated with evidence of obliterative retinal vasculitis. It is accompanied by ulcerative lesions in the conjunctiva, oral and genital mucosa, together with neurological and articular manifestations. The syndrome belongs to connective tissue disorders but is of two types: first associated with herpetiform ulcers in the mouth and second with aphthous ulcers. There is a significant association with HLA- B5 antigen. No specific treatment is known. Ref:- Parsons diseases of eye; pg num:-250